Most common tumour caused by virus is ?
1. Warts
2. Carcinoma cervix
3. Nasopharyngeal corcinoma
4. Lymphoma

Correct answer: 1. Warts

Explanation: Ans. is 'a' i.e., Was Human papilloma virus . Was are caused by Human papillomavirus (HPV) . HPV DNA of oncogenic types (High risk) in HPV-16, 18, 31, 33 and 45 --> associated with cervical cancer . HPV-6 and 11 (Low risk HPV) --> associated with precursor lesions of cervical cancer (CIN) and Condyloma Acuminatum. . In patients with epidermodysplasia vcrruciformis, Squamous cell cancer develop frequently at sites infected with specific HPV types, including 5 and 8. . E6 and E7 genes of HPV are responsible for carcinogenicity. "Common was (Verruca vulgaris) are found in as many as 25 % of some group and are most prevalent among children" "Condyloma accuminatum (anogenital was) is one of the most common sexually transmitted diseases"